Chromaphenicol is metabolized by:
1. Oxidation
2. Acetylation
3. Glucoronide conjugation
4. All of the above

Correct answer: 3. Glucoronide conjugation

Explanation: Ans. C: Glucoronide Conjugation Chloramphenicol can be detected in blood serum, plasma, cerebrospinal fluid, and urine. It is rapidly absorbed from the gastrointestinal tract and is distributed extensively through the human body, regardless of administration route. Approximately 90% of chloramphenicol is excreted in urine, mostly as metabolites, including conjugated derivatives; only 15% is excreted as the parent compound.